A female child has recently learned to eat with spoon without splling, to dress and undress hereself with supervion and to understand that she is a girl. These skills are first mastered between the ages of _______
1. 2 and 3 years
2. 3 and 4 years
3. 4 and 5 years
4. 5 and 6 years

Correct answer: 1. 2 and 3 years

Explanation: Advanced hand skills like dressing and undressing completely if helped with buttons is developed by 3 years and social skills like knowing full name and gender also develops by the same time Eating without spilling develops by 18 months Ref : OP GHAI - ESSENTIAL PEDIATRICS - 8 TH EDITION .PAGE no.52